Characteristic feature of SLE is -
1. Uveitis
2. Joint deformity
3. Polyserositis
4. Cavitating lesion is lung

Correct answer: 3. Polyserositis